Punishment for infanticide comes under -
1. IPC102
2. IPC324
3. IPC302
4. IPC300

Correct answer: 3. IPC302

Explanation: Ref:Textbook of forensic medicine and toxicology (V.V.Pillay) 17th edition, page no.377 Infanticide refers to the deliberate killings of chlid below the age of one year.In England, Germany, UK, there is a clear-cut distinction between homicide and infanticides. In India, no such distinction exists, and accuse is punished under sec.302IPC,the same manner as in murder.